Brodie -Trendlenburg test demonstrates?
1. Mid - thigh perforation
2. Deep vein thrombosis
3. Sapheno -- femoral incompetence
4. Calf perforators

Correct answer: 3. Sapheno -- femoral incompetence

Explanation: Ans. is 'c' i.e., Sapheno-femoral incompetence